In a patient of cardiopulmonary arrest best way of airway mantainence is:
1. Bag valve mask ventilation.
2. Nasotracheal intubation.
3. Orotracheal intubation.
4. Guedel airway.

Correct answer: 3. Orotracheal intubation.

Explanation: OROTRACHEAL INTUBATION
Indicated

Emergency cases(2-3 min)
Cardiopulmonary arrest cases
(Cordiopulmonary Resuciation)
Of Bone in around Nose